True about obsession - compulsive disorder are A/E
1. Ego-alien
2. Patient tries to resist against
3. Ego syntonic
4. Insight is present

Correct answer: 3. Ego syntonic

Explanation: C i.e. Egosyntonic- In OCD, the thought is egodystonic or egoalien (ie foreign to one's personality)(2; not ego syntonic - OCD is a neurosis, so insight is presentQ